Feature of narcolepsy include (s) all except:
1. Disorder of REM sleep regulation
2. Catalepsy
3. Hypnagogic hallucination
4. Hypnopompic hallucinations

Correct answer: 2. Catalepsy

Explanation: Narcolepsy It is a disorder of REM sleep with reduced REM latency Clinical features- 4 major symptoms strong urge to fall asleep Hypnagogic and Hypnopompic hallucination Cataplexy Sleep paralysis Occurs due to deficiency of hypocretin . has strong association with HLA - DR2 Diagnosis-Polysomnography - reveals a characteristic sleep-onset REM period